B-Carotene, precursor of vitamin A, is oxidatively cleaved by:
1. b-Carotene dioxygenase
2. Oxygenase
3. Hydroxylase
4. Transferase

Correct answer: 1. b-Carotene dioxygenase

Explanation: Ans. A. b-Carotene dioxygenaseCarotene is cleaved by b-carotene dioxygenase of intestinal cells to release 2 moles of retinal which is reduced to retinol.